Manifestation of Acute Dissection include all of the following, Except:
1. Pericardial effusion
2. AR
3. MR
4. AMI

Correct answer: 3. MR

Explanation: Answer is C (MR) Mitral Regurgitation is not a feature of Aortic dissection Aortic Regurgitation and Pericardial Tamponade may be seen in proximal dissection Hemopericardium and cardiac tamponade may complicate a dissection involving the ascending aorta (type A lesion with retrograde dissection): Acute Aortic Regurgitation (AR) is an important and common complication of proximal dissection - Acute Myocardial Ischemia may be associated with Aortic dissection 'Bowel Ischemia, hematuria and myocardial Ischemia have all benn observed with Aortic dissection'